Which does not cause sideroblastic anaemia?
1. INH
2. Chloramphenicol
3. Myelodysplastic anaemia
4. Mercury

Correct answer: 4. Mercury

Explanation: Ans. is 'd' i.e., Mercury